All of the following drugs cause hirsutism EXCEPT:
1. Phenytoin
2. Minoxidil
3. Corticosteroids
4. Heparin

Correct answer: 4. Heparin

Explanation: Among the given drugs -hirsutism i. e excessive hair growth feature is shown by minoxidil which is used in a therapeutic manner whereas hirsutism is shown by phenytoin and corticosteroid as an adverse effect cause of increased use. But heparin does not show a feature of hirsutism phenomenon ESSENTIALS of medical PHARMACOLOGY SEVENTH EDITION-KD TRIPATHI Page:413,614,231,552